For controlling an outbreak of cholera, all of the following measures are recommended except -
1. Mass chemoprophylaxis
2. Proper disposal of excreta
3. Chlorination of water
4. Early detection and management of cases

Correct answer: 1. Mass chemoprophylaxis

Explanation: Mass chemoprophylaxis. Drugs used are tetracycline or furazolidone. Park's textbook of preventive and social medicine,K.Park,23rd edition,page no:232-233.